Comet Tail artefacts On USG Liver is characteristic of-
1. Gall Bladder Polyp
2. Gall Bladder Carcinoma
3. Gall Bladder Adenomyomatosis
4. Cholelithiasis

Correct answer: 3. Gall Bladder Adenomyomatosis

Explanation: * Adenomyomatosis of the gallbladder is a hyperplastic cholecystosis of the gallbladder wall. It is a relatively common and benign cause of diffuse or focal gallbladder wall thickening, most easily seen on ultrasound and MRI. Comet Tail artifacts On USG Liver is characteristic of Gall Bladder Adenomyomatosis. Figure 1: Comet tail artefact in GB Adenomyomatosis Figure 2: Actual Comet tail in the sky during night time (for understanding purpose)